Rise in body temperature after ovulation is due to:
1. Estrogen
2. Progesterone
3. LH
4. FSH

Correct answer: 2. Progesterone